The genetic defect in Dubin-Johnson Syndrome is
1. Mutation in gene for multiple drug resistance protein 2
2. Mutation in gene UDP- glucuronyl transferase
3. Mutation of chromosome 23
4. Flash mutations

Correct answer: 1. Mutation in gene for multiple drug resistance protein 2

Explanation: Dubin-Johnson syndrome is a rare, autosomal recessive, benign disorder that causes an isolated increase of conjugated bilirubin in the serum. Classically, the condition causes a black liver due to the deposition of a pigment similar to melanin. Refer robbins 9/e